A 65-year-old woman who is a known case of Hashimoto's thyroiditis presented with symptoms of malabsorption. After evaluation, she was diagnosed to have atrophic gastritis. Which of the following is not feature of this patient's condition?
1. Anti-parietal cell antibodies
2. Excessive acid production in the stomach
3. Endocrine cell hyperplasia
4. Vitamin B12 deficiency

Correct answer: 2. Excessive acid production in the stomach

Explanation: Autoimmune atrophic gastritis is characterized by: Antibodies to parietal cells and intrinsic factor that can be detected in serum and gastric secretions Reduced serum pepsinogen I concentration Endocrine cell hyperplasia Vitamin B12 deficiency Defective gastric acid secretion (achlorhydria) Pernicious anemia and autoimmune atrophic gastritis are often associated with other autoimmune diseases including Hashimoto thyroiditis, type 1 diabetes mellitus, Addison disease Clinical features are mainly related to vitamin B12 deficiency, including megaloblastic anemia, atrophic glossitis, epithelial megaloblastosis, malabsorptive diarrhea.